All of the following are Full Body Restraint devices except:
1. Posey straps.
2. Papoose Board.
3. Pedi wrap.
4. Bean bag.

Correct answer: 1. Posey straps.